A 40-year-old woman treated for many years for gastroesophageal reflux develops dysphagia and weight loss. Previous esophagoscopy has revealed cellular atypia. An esophagoscopy is about to be performed. What is it most likely to reveal?
1. Leiomyoma arising from the long esophageal muscular layer
2. Squamous cell carcinoma arising from esophageal mucosal lining
3. Adenocarcinoma originated from islands of Barrett's esophagus
4. Adenocarcinoma extending from the stomach

Correct answer: 3. Adenocarcinoma originated from islands of Barrett's esophagus

Explanation: Adenocarcinoma, originated from islands of Barrett's esophagus, is today the most common cancer of the esophagus in the United States.